In hypergonadotropic hypogonadism FSH level is?
1. <20 m IU/ ml
2. <40 m IU/ ml
3. >20 m IU/ ml
4. >40 m IU/ ml

Correct answer: 4. >40 m IU/ ml

Explanation: Ans. is'd'i.e., > 40 m IU/ml FSH LEVEL:Age 0-7 years: <6.7 m IU/mlAge >7 years:Follicular phase: 3.1 -7.9 ml IU/mlOvulation peak : 2.3 - 18.5 ml IU/mlLuteal phase :1.4- 5.5 ml IU/mlPostmenopausal: 30.6-106.3 ml IU/mlHypergonadotropic hypogonadism: >40ml IU/ml